Which of the following is the most desirable sequence of eruption of permanent mandibular teeth
1. 6123457
2. 6257413
3. 6254317
4. 7146325

Correct answer: 1. 6123457

Explanation: Moyers stated that the most common sequence of eruption of permanent teeth in the mandible is first molar, central incisor, lateral incisor, canine, first premolar, second premolar, and second molar.